All of following are seen in hypospadias except -
1. Ectopia vesicae
2. Hooded prepuce
3. Chordee
4. Infertility

Correct answer: 1. Ectopia vesicae